A female child with virilization, hypertension with low plasma renin diagnosis is -
1. 21 α hydroxylase deficiency
2. 11β hydroxylase deficiency
3. 3β hydroxylase deficiency
4. Conn's syndrome

Correct answer: 2. 11β hydroxylase deficiency